Which of the following fungal infection is a leading cause of corneal ulcer?
1. Trichophyton
2. Aspergillus
3. Mucor
4. Sprothrix

Correct answer: 2. Aspergillus

Explanation: Ref: Microbiology by Ananthanarayan and Paniker, 8th ed. pg. 613, 659-60* Fungal infections of the cornea are secondary to injury, bacterial infection and treatment with antibacterial agents and steroids. LASIK and agricultural occupation predispose too.* Occur most often in hot climates.* Aspergillus and Fusarium are the most common isolates in fungal keratitis worldwide.